At low levels of light, the colour perception of the eyes is lost. As the brightness becomes more intense, colour appears to change. This phenomenon is known as
1. Metamerism
2. Fluorescence
3. Reflection Effect
4. Bezold-Brucke effect

Correct answer: 4. Bezold-Brucke effect